"Fish in stream" appearance is seen in?
1. Hemophilus ducreyi
2. Proteus
3. Mycoplasma
4. V. Cholerae

Correct answer: 4. V. Cholerae

Explanation: Ref: Ananthnarayan and Paniker's Textbook of Microbiology, 8th ed. pg. 302* In stained films of mucus flakes from acute cholera cases, the vibrios are seen arranged in parallel rows, described by Koch as the fish in stream' appearance.* "School of Fish" appearance is seen in H. ducreyi.* Vibrios are Gram-negative, rigid, curved rods that are actively motile by means of a polar flagellum. The name 'vibrio' is derived from the characteristic vibratory motility/darting motility* The cholera vibrio is a short, curved, cylindrical rod, about 1.5x0.2-0.4mm in size, with rounded or slightly pointed ends. The cell is typically comma shaped.* Aside from V. cholera, darting motility is also seen in Campylobacter.